Bacteria used in Griffith's experiment is
1. Pneumococci
2. Neisseria
3. Acinetobacter
4. Pseudomonas

Correct answer: 1. Pneumococci

Explanation: Griffith's experiment is done on mice using pneumoccal strains.